Which of the following enzymes do not participate in a ping-pong reaction?
1. Aminotransferases
2. Serine proteases
3. Pyruvate carboxylase
4. None of the above

Correct answer: 4. None of the above

Explanation: The term “ping-pong” applies to mechanisms in which one or more products are released from the enzyme before all the substrates have been added. Ping-pong reactions involve covalent catalysis and a transient, modified form of the enzyme.
Example- aminotransferases, serine proteases and pyruvate carboxylase.
Reference- Harper 30th edition Pg- 84